Peripheral resistance is decreased in which type of shock -a) Hypovolemic shockb) Neurogenic shockc) Septic shockd) Cardiogenic shock
1. a
2. c
3. ac
4. bc

Correct answer: 4. bc

Explanation: Septic shock has already been described → in hyperdynamic stage there is vasodilation and  ↓ TPR.
Neurogenic shock

Neurogenic shock occurs when there is Neurological injury as occur in head trauma or high cervical cord injury or cephalad migration of spinal anaesthesia.
Interruption of sympathetic vasomotor input occurs that causes vasodilatation, decreased heart rate and Cardiac output and shock.
Then what is the difference between neurogenic shock and hyperdynamic stage of septic shock ?
In septic shock, there vasodilatation ( ↓ TPR) due to NO with associated reflex sympathetic activity that increases heart rate and cardiac output.
On the other hand, in neurogenic shock there is decreased sympathetic drive that leads to decrease in all, i.e., peripheral resistance, cardiac output and heart rate.